Which of  the following has strongest association with osteosarcoma?
1. Wilms tumor
2. Retinoblastoma
3. Rhabdomyosarcoma
4. Ewings tumor

Correct answer: 2. Retinoblastoma

Explanation: Retinoblastoma and osteosarcoma both can occur due to mutation in common gene i.e RB gene. Hence both have strongest association.